Cholesterol is not a precursor for synthesis of:
1. Vitamin D
2. Bile acids
3. Lipocortin
4. Progesterone

Correct answer: 3. Lipocortin

Explanation: Cholesterol is a precursor for synthesis of : Vitamin D, Steroid hormones Bile acids Lipocortin/ Annexin, inhibitor of phospholipase A2 enzyme. Increased expression of the gene coding for annexin-1 is one of the mechanisms by which glucocorticoids (such as cortisol) inhibit inflammation.